Inclusion conjunctivitis is caused by
1. Klebsiella species
2. Chlamydia trachomatis
3. Adeno virus
4. Mycobacterium Leprae

Correct answer: 2. Chlamydia trachomatis